Oculomotor nerve supplies all of the following except
1. Lateral rectus
2. Inferior oblique
3. Superior rectus
4. Medial rectus

Correct answer: 1. Lateral rectus

Explanation: The lateral rectus is supplied by the VIth cranial or abducent nerve (LR6). The remaining five extraocular muscles; superior, inferior and medial recti; inferior oblique and levator palpebrae superioris are all supplied by the Illrd cranial or oculomotor nerve. Ref: BD Chaurasia's HUMAN ANATOMY, Volume 3, 4th edition.